First sign of magnesium sulphate toxicity is
1. Loss of deep tendon reflexes
2. Cardiac arrest
3. Respiory depression
4. Decreased urinary output

Correct answer: 1. Loss of deep tendon reflexes

Explanation: Magnesium sulfate toxicity : Loss of deep tendon reflexes. - >7 mEq/L Respiratory depression more than 10 meq/L Cardiac arrest more than 25mEq/L Ref: Dutta Obs 9e pg 222.